Non-hepatotoxic anti-tubercular drug is
1. Rmp
2. INH
3. Pyrazinamide
4. Ethambutol

Correct answer: 4. Ethambutol

Explanation: Ans. d (Ethambutol). (Ref. Harrison's medicine 17th ed. Table 161-3)DrugSide EffectRifampinIsoniazidRash, Liver dysfunction, Flulike syndrome, Red-orange urine, Drug interactions, Fever, chillsHepatitis, Peripheral neuritis, Optic neuritis, SeizuresPyrazinamideHepatitis , HyperuricemiaEthambutolOptic neuritis, Color blindnessStreptomycin, amikacin, capreomycinOtotoxicity, renal toxicity